What kind of a joint is syndesmosis ?
1. Fibrous
2. Plain
3. Pivot
4. Cartilaginous

Correct answer: 1. Fibrous

Explanation: Ans. is 'a' i.e., Fibrous Classification of JointsA. Fibrous jointso Lack intervening cartilage and hence have restricted mobility.1. Gomphosis:Dento-alveolarpeg2 Syndesmosis:Inferior tibiofibular joint Posterior part of sacroiliac joint Interosseous membrane of forearm3. Schindylesis :Vomer-sphenoidal rostrum junction4. Sutures of the skull B. Cartilagenous jointso These are of 2 types depending on intervening cartilage.I. Primary cartilaginous joints (Synchondrosis/Hyaline curtilage joints)1. Spheno-occipital joint2. Growth plate3. Costochondral joint4. 1 st chondrostemal jointII Secondary cartilaginous joints (Symphyses / fibrocartilagenous joints)Fibrocartilage is interposed between bone ends covered with articular hyaline cartilage.All of them occur in midline.1. Symphysis menti2. Pubic symphysis3. Sacrococcygeal joint4. Intervertebral joint5. Manubriostema! joint6. Xiphisternal jointC Synovial jointsI Uniaxial1. Plane/Flat joint-Acromioclavicular joint2. Hinge joints-Elbow joint3. Pivotjoint-Atlantoaxial jointSuperior radioulnar joint II Biaxial1. Bieondylar-Knee joint(condyloid joint) Temporomandibular joint Atlanto occipital joint2 Ellipsoid joint-Wrist joint Metacarpophalangeal joint3. Saddle joint-1st carpo-metacarpal joint Sternoclavicular joint Calcaneocuboid j oi nt Ankle joint Incudomalleolar jointIII MultiaxialBall and socket joint-Shoulder HipIncudostapedial jointTalo-calcaneo-navicular joint